Which of the following neck zone injury is associated with maximum mortality?
1. I
2. II
3. III
4. IV

Correct answer: 1. I

Explanation: Trachea , Carotid artery & esophagus are superficial in Zone 1